Endemic Disease means that a disease -
1. Occurs clearly in excess of normal expectancy
2. Is constantly present in a given population group
3. Exhibits seasonal pattern
4. Is prevalent among animals

Correct answer: 2. Is constantly present in a given population group

Explanation: Endemic refers to the constant presence of a disease or infectious agent within a given geographic area or population groups, without importation from outside Ref: 25th edition, Park's Textbook of Preventive and Social Medicine, Page no. 101